Posterior capsule opacities are treated by -
1. Argon green laser
2. Lens explantation
3. Nd:YAG Laser
4. Diode laser

Correct answer: 3. Nd:YAG Laser

Explanation: Nd:YAG Laser is used for treatment of posterior capsular opacities commonly seen after cataract surgeries (after cataract). (Ref: Khurana 7th/e p. 483 & 4th/e p.202; Parson 22nd/e p.608 & 21st/e p.583)